Right border of the heart in a chest X-ray is not formed by:
1. WC
2. SVC
3. Right atrium
4. Aorta

Correct answer: 4. Aorta

Explanation: Ans. Aorta